The following may be used in erectile dysfunction except -
1. Phenylephrine
2. Apomorphine
3. Alprostidil
4. All

Correct answer: 1. Phenylephrine

Explanation: Ans. is 'a' i.e., Phenylephrine Drugs used in erectile dysfunction Phosphodiesterase-5 inhibitors (Siledenafil, Todafil, Vardenafil). Alprastadil (Prostaglandin El) Papaverine Androgens Apomorphine